Keratoderma Blenorrhagica is typically seen in
1. Rheumatoid arthritis
2. Psoriatic Arthritis
3. Reactive Arthritis
4. Ankylosing spondylitis

Correct answer: 3. Reactive Arthritis

Explanation: Ans. is 'c' i.e., Reactive arthritis Keratoderma Blenorrhagica is the characteristic skin lesion seen in patients with Reactive Arthritis. "The Characteristic skin lesions in Reactive Arthritis, Keratoderma Blenorrhagica, consist ofvesicles that become hyperkeratotic, ultimately forming a crust before disappearing. These are seen in palms and soles.